Final finishing of composite resin is usually done
1. At the same time when restoration is placed
2. 24 hours after restoration is placed
3. 48 hours after restoration is placed
4. after 1 week of placement

Correct answer: 1. At the same time when restoration is placed